Hinge fracture is seen in:
1. Wrist
2. Mandible
3. Basilar skull fracture
4. Cl vertebra fracture

Correct answer: 3. Basilar skull fracture

Explanation: Ref: Apleys System of Orthopaedics and Fractures, 9th editionExplanation:HINGE FRACTUREBasilar fracture of skull.Involves middle cranial fossa and pituitary fossa.Divides the skull into anterior and posterior segments.Mechanism of injuryo Blow to chin, e.g. Boxingo Motor-cycle accident - Due to impact on the chin during the fall.JEFFERSON FRACTUREBurst fracture of Atlas I Cl vertebra).Lower incidence of spinal cord injury when compared to burst fractures of the other vertebrae.This is due to absence of vertebral body in Cl vertebra.